What is the treatment of choice for benign tertian malaria ?
1. Sulfamethaxazole - pyrimethamine
2. Quinine
3. Mefloquine
4. Chloroquine

Correct answer: 4. Chloroquine

Explanation: Ans. is 'd' i.e., Chloroquine . Benign tertian malaria is caused by plasmodium vivax "Despite recent evidence of chloroquine resistance in P. vivax, chloroquine remains the treatment of choice for the benign human malarias (P vivax, P ovate, P malariae)". - Harrison